Indication for induction of labour is:
1. Placenta previa
2. PIH at term
3. Heart disease at term
4. Breech

Correct answer: 2. PIH at term

Explanation: Indications of Induction of Labour